All are true about rabies virus except -
1. It is a DNA virus
2. Vaccine virus has fixed incubation period
3. Negri bodies are found in hippocampus
4. All bites on fingers with laceration are class three injuries

Correct answer: 1. It is a DNA virus